Acetylcholinesterase inhibitors are not used in
1. Anticholinergic poisoning
2. Carbamate poisoning
3. Cobra bite
4. Glaucoma

Correct answer: 2. Carbamate poisoning

Explanation: Carbamate and OP compounds are acetylcholinesterases. Oximes are used in op poisioning where as in carbamates poisioning oximes are not effective. Ref: KDT 6th ed pg 105